Strangury is:
1. Renal colic
2. Pain due to twisted ovarian cyst
3. Biliary colic
4. Painful frequent attempt at micturation and passing only a small quantity each time

Correct answer: 4. Painful frequent attempt at micturation and passing only a small quantity each time

Explanation: Ans: d (Painful frequent attempt at micturation passing.....) Ref: S. Das, p. 339Strangury - Painful frequent attempts at micturation but passing only a small quantity each time.Conditions:* Stone impacted in the lower end of the ureter & stone in the bladder (most common)* Inflammatory conditions in the neighborhood of the bladder and ureter such as retrocaecal appendicitis, pelvic appendicitis & pelvic peritonitisTenesmus - Ineffectual straining at stool with passage of mucous and bloodCauses:* Pelvic appendicitis or pelvic abscess, irritation of rectum